Dicrotic pulse is seen in?
1. HOCM
2. DCM
3. RCM
4. Left ventricular failure

Correct answer: 2. DCM

Explanation: Dicrotic pulse: Seen in Dilated cardiomyopathy It is distinguished by two palpable pulsations, the second of which is diastolic and immediately follows the second heart sound. Bisferiens pulse : HOCM Pulsus alternans: Severe LVF